Rickets in infant presented as all of the below except-
1. Cranitabes
2. Widened Fontanel
3. Rachitic Rosary
4. Bow legs

Correct answer: 4. Bow legs

Explanation: *Long bones of legs gets deformed when the child starts bearing weight. Therefore, deformities of legs are unusual before the age of one year. Ref: Maheshwari 9th/e p. 310-312